Drug used in scorpion bite:
1. EDTA
2. Neostigmine
3. N-acetylcysteine
4. Prazosin

Correct answer: 4. Prazosin

Explanation: Ans. Prazosin